Factors that protect against endometrial cancer
1. Obesity
2. Smoking
3. Nulliparity
4. Diabetes

Correct answer: 2. Smoking

Explanation: Factors that increase
endometrial cancer
risk
Factors that protect
against endometrial
cancer


Obesity
Hysterectomy


Diabetes
Combined oral contraceptive pill


Nulliparity
Progestin - based
Contraceptives, including injectables


Late menopause
> 52 years
Intrauterine device, including Cu-IUD and LNG-IUS


Unopposed oestrogen
therapy
Pregnancy


Tamoxifen therapy
Smoking



Family history of
colorectal and
endometrial cancer